In brachial plexus nerve arising from root is
1. Nerve to serratus anterior
2. Axillary nerve
3. Ulnar nerve
4. Suprascapular nerve

Correct answer: 1. Nerve to serratus anterior

Explanation: Nerve to serratus anterior or long thoracic nerve arises from the nerve root of C5-C7. Injury to this nerve causes the condition called winging of scapula due to paralysis of serratus anterior muscle. B D Chaurasia 7th edition Page no: 45